Catastrophic reaction is feature of?
1. Dementia
2. Schizophrenia
3. Delirium
4. Anxiety

Correct answer: 1. Dementia

Explanation: Ans. A. Dementia. (Ref: Kaplan & Sadock's Synopsis of Psychiatry, Xth/Ch.10.3, Page no, 336).Catastrophic reaction is feature of Dementia.Additional Educational points:Kaplan, pp 919-920...........The cognitive Rx of panic disorder focuses on the patient's tendency to make catastrophic interpretations about body sensations or states of mind. This approach includes a careful exploration of the patient's bodily symptoms before and during the panic attack and of the automatic thoughts that accompany them, in addition to an educational component focusing on the fact that, although terrifying, panic attack symptoms are not fatal. Other, more realistic inter- pretations of symptoms are discussed, and the patient is encouraged to come up with less catastrophic scenarios. ("Even if I have a panic attack in a store, the world does not end.") Exposure techniques are part of behavioral therapy. Empathy with the patient's suffering is a necessary element of all doctor-patient interactions, but in this case it does not represent a specific therapeutic technique.